The combination of trimethoprim and sulfamethoxazole is effective against which of the following opportunistic infections in the AIDS patient?
1. Disseminated Herpes simplex
2. Cryptococcal meningitis
3. Pneumocystis jiroveci
4. Tuberculosis

Correct answer: 3. Pneumocystis jiroveci

Explanation: Cotrimoxazole is drug of choice for : - Pneumocystis- Nocardia- Burkholderia Cepacia Both sulfonamide and trimethoprime are bacteriostatic when used alone, it becomes bacteriocidal in combine state. Cotrimoxazole is used as a prophylaxis for Pneumocystis Jirovecii pneumonia in immunocompromised individuals like HIV. Aerolized pentamidine, Dapsone, Dapsone plus pyrimethamine, Atovoquone are other drugs which can be used for the same also. Herpes Simplex: DOC is Acyclovir Cryptococcal meningitis: Acute phase: amphotericin BMaintenance phase: Fluconazole Suldoxime + Pyrimethamine is used for parasite(malaria and toxoplasmosis)